A 30 year old housewife reports with 6 months amenorrhoea. Her serum LH and FSH are high with low estradiol levels. What is the most likely cause of amenorrhoea :
1. Pituitary tumour
2. Polycystic ovarian disease
3. Exercise induced
4. Premature menopause

Correct answer: 4. Premature menopause

Explanation: Premature menopause